Which of the following is not a proactive approach to prevent unnecessary stress in a surgical patient?
1. Using minimal access techniques
2. Nerve blocks
3. Minimal periods of starvation
4. Prolonged bed rest

Correct answer: 4. Prolonged bed rest

Explanation: A proactive approach to prevent unnecessary aspects of the surgical stress response areMinimal access techniquesBlockade of afferent painful stimuli (e.g. epidural analgesia, spinal analgesia, wound catheters)Minimal periods of starvationEarly mobilisationRef: Bailey and love 27e pg: 11